Which of the following is not present on the medial surface of a submandibular gland?
1. Styloglossus
2. Mylohyoid
3. Facial vein
4. Hyloglossus

Correct answer: 3. Facial vein